McNaughton's rule is related to:
1. IPC 82
2. IPC 84
3. IPC 87
4. IPC 85

Correct answer: 2. IPC 84

Explanation: - Mc Naughton's rule is related to Criminal responsibility of Insane person - Sec. 84 IPC also deals with the Criminal responsibility of Insane person Section 84 IPC embodies McNaughton rules as follows: "Nothing is an offence which is done by a person who, at the time of doing it, by reason of unsoundness of mind, is incapable of knowing the nature of the act or that he is doing what is either wrong or contrary to the law."